The Epstein Barr virus is implicated in all of the following conditions, EXCEPT :
1. Nasopharyngeal Ca
2. Burkitt's lymphoma
3. Infectious mononucleosis
4. Leukemia

Correct answer: 4. Leukemia

Explanation: EBV is known to cause infectious mononucleosis, lymphoproliferative syndrome(fever, lymphadenopathy and hepatosplenomegaly), burkitt lymphoma, nasopharyngeal carcinoma, and in AIDS patients its known to cause hairy leukoplakia of tongue, interstitial lymphocytic pneumonia and lymphoma. In Sub saharan africa Burkitt lymphoma is the most common malignancy in young children. It is thought to result from an early EBV infection that produces a large pool of infected B lymphocytes. It can be diagnosed by presence of increased IgA antibody levels to both VCA and early EBV antigens. Nasopharyngeal carcinoma is endemic in Southern China, where it is responsible for 25% of mortality from cancer. Ref: Ray C.G., Ryan K.J. (2010). Chapter 14. Herpesviruses. In C.G. Ray, K.J. Ryan (Eds), Sherris Medical Microbiology, 5e.